Most common site of venous thrombosis:
1. Veins of upper extremity
2. Veins of lower extremity
3. Dural sinus
4. Portal vein

Correct answer: 2. Veins of lower extremity

Explanation: Ans. B i.e. Veins of lower extremity Commoner sites of venous thrombosis includes deep vein in the lower extremity below the knee and superficial saphenous, hepatic and renal veins; dural sinuses.